Genes for sex determination is:
1. Shh
2. SRY
3. AZF
4. HOX

Correct answer: 2. SRY

Explanation: The SRY gene provides instructions for making a protein called the sex-determining region Y protein. 
This protein is involved in male sexual development, which is usually determined by the chromosomes an individual has.